Intermediate mesoderm will give rise to the
1. Neural tube
2. Heart
3. Kidneys and gonads
4. Somites

Correct answer: 3. Kidneys and gonads

Explanation: Intermediate mesoderm is a subdivision of intraembryonic mesoderm that forms a longitudinal dorsal ridge called the urogenital ridge from which the kidneys and gonads develop .